ORS plus Zinc
1. Reduces infection
2. Antispasmodic
3. Reduces duration of diarrhea
4. Enhance sodium absorption

Correct answer: 3. Reduces duration of diarrhea

Explanation: Zinc supplementation with ORS therapy reduce Duration of diarrhea Severity of acute and persistent diarrhea Volume of diarrhea